There is an outbreak of MRSA infection in a ward. What is the best way to control the infection?
1. Vancomycin given emperically to all the patients
2. Fumigation of ward frequently
3. Washing hand before & after attending patient
4. Wearing mask before any invasive procedure in ICU

Correct answer: 3. Washing hand before & after attending patient

Explanation: Ans. is 'c' i.e.,Washing hand before & after attending patients " Given the prominence of cross infection, hand hygiene is the single most preventive measure in hospitals."